A patient of Parkinsonism is managed with levodopa. If Vitamin B complex is administered concurrently to the patient :
1. The action of levodopa in brain will be potentiated
2. Decarboxylation of 1–dopa in brain will be decreased
3. Side effects will be ameliorated
4. Decreased efficacy will result

Correct answer: 4. Decreased efficacy will result